Which of the following is false regarding Hydatidiform mole?
1. In complete mole fetal parts are not seen
2. In partial mole all genetic material is paternally derived
3. It increases risk of invasive mole and choriocarcinoma
4. Karyotype of complete mole can be 46 XX

Correct answer: 2. In partial mole all genetic material is paternally derived

Explanation: Partial mole is triploid. One egg is fertilized by 2 sperms. So all the genetic material is not completely paternal.